Following are the causes of painless sudden onset of loss of vision except ?
1. Acute congestive glaucoma
2. Vitreous hemorrhage
3. CRAO
4. Central serous retinopathy

Correct answer: 1. Acute congestive glaucoma

Explanation: Ans. is 'a' i.e., Acute congestive glaucoma Acute congestive glaucoma causes sudden painful loss of vision.